Least common cause of endocarditis is
1. A.S.D.
2. P.D.A.
3. T.O.F.
4. V.S.D.

Correct answer: 1. A.S.D.